Periconceptional use of the following agent leads to reduced incidence of neural tube defects?
1. Folic acid
2. Iron
3. Calcium
4. Vitamin A

Correct answer: 1. Folic acid

Explanation: Folic acid supplementation (4mg a day) starting 4 weeks prior to conception up to 12 weeks of pregnancy is advised.This can reduce the incidence of neural tube defects.Reference: DC Dutta's Textbook of Obstetrics, 8th edition, page no:472